In myocardial infarction, dense neutophilic infilteration is seen in how much time -
1. 24 hours
2. 2 days
3. 5 days
4. One week

Correct answer: 2. 2 days

Explanation: Dense neutrophilic infiltration in MI occurs after 2 days. Basic Pathology, Robbins. 9/e pg 46